6 months old infant with Hb of 6 gm% has anaemic features with peripheral blood showing target cells. Family history of similar complaints is (Positive). Diagnosis can be best done with which of the following -
1. Hb electrophoresis
2. ELISA
3. Coomb's Test
4. Osmotic fragility

Correct answer: 1. Hb electrophoresis

Explanation: Ans. is 'a' i.e., Hb Electrophoresis Presence of : 1. Anaemia (Hb < 6%), Target cells, 3. Increase reticulocytes suggests the diagnosis of thalassemia. o Thalassemia is a hemoglobin disorder. Hemoglobin disorders are diagnosed by electrophoresis. o Diagnosis of thalassemia is confirmed by serum electrophoresis.